Incidence of Gallstone is high in:
1. Partial hepatectomy
2. Ileal resection
3. Jejuna resection
4. Subtotal gastrectomy

Correct answer: 2. Ileal resection

Explanation: Ans. (b) Ileal resection* Ileum is the principal Site for Entero hepatic Circulation- It resected it can lead to decreased Bile salt pool and hence gall stone